Which of the following is an enzyme inhibitor ?
1. Ketoconazole
2. Rifampicin
3. Tolbutamide
4. Phenobarbitone

Correct answer: 1. Ketoconazole